Chemiclave:
1. Corrodes instruments
2. Solution can be recirculated
3. Sterilization is verifiable
4. Does not affect heat-sensitive materials

Correct answer: 3. Sterilization is verifiable

Explanation: Chemiclave: A form of autoclave, used to sterilise surgical instruments, that incorporates steam, alcohol and formaldehyde under pressure.
Sterilization requires no drying time. Along with chemical vapor, this method involves high-pressure, high-temperature water and alcohol. 
The medical instruments come out ready to be used from the machine. Chemiclave sterilization cannot be used for liquids, fabrics and textiles, polycarbonate materials, nylon tubing and bags, agars and heat-sensitive equipment. 
It requires 132°C/270°F operational conditions and takes 20 minutes to complete one cycle.
Aside from having no drying time, advantages of chemiclave sterilization include little or no rusting, dulling or corroding of carbon steel instruments. 
Some plastic and rubber items may be damaged during this sterilization process. The chemiclave machine should be run in a well-ventilated area to prevent too much exposure to formaldehyde and ethyl alcohol.